Which of the following colonic polyps has no risk for malignancy -
1. Juvenile polyps
2. Hamartomatous polyps associated with Peutz- Jegher's syndrome
3. Juvenile polyposis syndrome
4. Famillial adenomatous polyposis syndrome

Correct answer: 1. Juvenile polyps

Explanation: Ans. is 'a' i.e. Juvenile Polyps Repeat from Nov 09Hamartomatous polyps (juvenile polyp is also a hamartomatous polyp) by definition do not have malignant potential. They are characterized by overgrowth of normal components of colon, such as epithelium and connective tissue.These hamartomatous polyps are seen in following syndromes - Familial juvenile polyposis, Cronkhite - Canada and Peutz-Jeghers syndromes.Unlike solitary juvenile (hamartomatous) polyps, polyps associated with Familial juvenile polyposis and Peutz Jeghers syndrome may degenerate into adenomas and eventually into carcinomas. There is increased risk of gastrointestinal as well as extra gastrointestinal malignancies in the syndromes.